Which epidemiological study gives the most accurate result -
1. Meta analysis
2. Cross-sectional study
3. Randomized control trial with double blinding
4. Cohort study

Correct answer: 1. Meta analysis